Commonest cause of pyometra is :
1. Carcinoma endometrium
2. Carcinoma cervix
3. Carcinoma vagina
4. Uterine myoma

Correct answer: 2. Carcinoma cervix

Explanation: Carcinoma cervix